Zoonotic disease among the following
1. Scabies
2. Malaria
3. Tetanus
4. Hydatid cyst

Correct answer: 4. Hydatid cyst